Which of the following conditions characterised by episodes of excessive and uncontrolled eating -
1. Anorexia nervosa
2. Bulimia nervosa
3. Body dysmorphobia
4. All of the above

Correct answer: 2. Bulimia nervosa